The most characteristic visual field change in primary open-angle glaucoma is:
1. Nerve fibre bundle defect
2. Enlargement of blind spot
3. Generalised constriction of field
4. Sector-shaped defects

Correct answer: 1. Nerve fibre bundle defect

Explanation: Ans. Nerve fibre bundle defect